Traveller's diarrhoea is caused by
1. Shigella
2. E. Coli
3. E. histolytica
4. Giardiasis

Correct answer: 2. E. Coli

Explanation: Enterotoxigenic E. Coli causes traveller's diarrhoea. Persons travelling from developed countries visiting endemic areas often suffer from ETEC diarrhoea. Ref: Ananthanarayan and Paniker's Textbook of Microbiology, 9th edition; pg no: 279